Most common heart disease associated with pregnancy is:
1. Mitral stenosis
2. Mitral regurgitation
3. Patent ductus arteriosus
4. Tatralogy of Fallot

Correct answer: 1. Mitral stenosis

Explanation: Ans. is a, i.e. Mitral stenosisRef. Dutta Obs. 7/e, p 275; Fernando Arias 3/e, p 522In developing countries like India:Most common heart disease in pregnancy is of rheumatic origin, followed by the congenital heart disease.Most common rheumatic valvular lesion is mitral stenosis (in 80%) followed by mitral regurgitation and aortic stenosis.In developed countries:Most common heart disease is congenital heart disease QMost common lesion is Atrial septal defect Q